Which of the following is autosomal recessive?
1. Achondroplasia
2. Duchenne muscular dystrophy
3. Thalassemia
4. Marfan's syndrome

Correct answer: 3. Thalassemia

Explanation: ANSWER: (C) ThalassemiaREF: APPENDIX- 78 below for "PEDIGREE & INHERITANCE"Indirect repeat Pathology 2012 Session 2 APPENDIX- 78PEDIGREE & INHERITANCEHow to read a pedigree chart?However not a rule, but following scheme solves all the pedigree charts that use to come in PG entrance exams.Check parents of the affectedIf both parents are normal (including carriers)- recessiveIf any or both the parents are affected- dominantIf dominant, check progeny/offsprings of the affected maleIf affected male affects females only- X linked dominantIf affected male affects males only- Y linkedIf affected male affects both males and females- Autosomal dominantIf affected male do not transmit at all- Mitochondrial inheritanceIf recessive, check all affected If both males and females are affected in the pedigree- Autosomal recessiveIf only males are affected in the pedigree (female is affected only in the condition when father is affected and mother is carrier) - X linked recessiveFor mitochondrial inheritanceMales are affected but do not transmit at all (0% transmission)Females are affected and transmit to all the offsprings (100% transmission)Normal maleSiblings (brothers and sisters)Normal femaleSibship of 4 males and 3 females (for economy of space)Normal matingThree offspring. sex unknownConsanguineousmatingSmall circles represent abortions or miscarriagesProband, index case. propositus (male)proposita (female)Monozygotic (identical) twinsPeople affected by the trait or disorder HeterozygotesDizygotic (fraternal or nonidentical twinsSymbol divided to represent up to 4 clinical features of a syndromeZygosity uncertainDeceased SOLUTION:A = Autosomal recessiveB = X linked recessiveC = Autosomal dominantD = X linked dominantE = Mitochondrial inheritance Autosomal dominantAutosomal recessiveAchondroplasiaAcoustic neuromaAdult polycystic kinneyAcute intermittent porphyriaAngioedema (Cl esterase inhibitor def)Ehler danlos syndrome (except type 6)Familial hypercholesterolemiaFamilial adenomatosis polyposis colonHereditary spherocytosisHuntington's choreaIchthyosis vulgarisMarfan s syndromeMalignant hyperthermiaMeniere's diseaseMitral valve prolapsedMODYNeurofibromatosis 1 & 2Osteogenesis imperfectaOtosclerosisPeutz jegher's syndromeRetinoblastomaSpinocerebellar ataxiaTuberous sclerosisVon hippel landau diseaseVon Willebrand's disease (Type 1 & 2)WPW syndromeYellow blue colour blindnessAlbinismAtaxia telangiectasiaAlfa 1 antitrypsin deficiencyAlkaptonuria & PhenylketonuriaCongenital adrenal hyperplasia (21 & 17 hydroxylasedeficiency)Cystinosis & Cystinuria Cystic fibrosisEhler danlos syndrome (Type 6- MC type)Freidrich's ataxiaFructose 1-6 bisphosphatase deficiencyGaucher's syndromeGalactosemiaHomocystemiaHereditary hemochromatosisMucopolysaccharidosis (except Fabry & Hunter s)Maple syrup urine diseaseNiemann's pick syndromeSickle cell diseaseIhallassemiaTay sach diseaseTotal colour blindnessXeroderma pigmentosaVon Willebrand's disease (Type 3)Wilson's diseaseX linked dominantX linked recessiveRette syndromeVitamin D resistant (Hypophosphatemic) rickets Pseudohypoparathyroidism Hyperammonemia Incontinenta pigmentiDuchenne muscular dystrophy Becker's muscular dystrophy G6PD deficiency Haemophilia A & B Hunter's syndrome (MPS II)Fabry diseaseLesch Nyhan syndromeBrutons agammaglobulinemiaWiskott Aldrich syndromeDiabetes insipidusOcular albinismRed green colour blindnessAndrogen insensitivity syndromeFragile X syndromeGonadal dysgenesis (XY type)X-linked Severe Combined Immunodeficiency (SOD) X-linked ichthyosisMitochondrial inheritanceLeber hereditary optic neuropathy Leigh disease Pearson syndromeMERRF- Myoclonic epilepsy & ragged red fibres MELAS- Mitochondrial encephalopathy - Lactic acidosis & stroke like syndromePolygenic inheritanceCleft palate (with or without cleft lip)Coronary heart diseaseCongenital heart diseasePyloric stenosisSchizophreniaHypertensionClub footGoutNOTE: 1. All lysosomal storage disorders are autosomal recessive except Fabry's disease & Hunter's diseaseAlbinism is autosomal recessive while ocular albinism is X linked recessiveFragile X syndrome which was earlier considered to be X linked recessive is now considered to be only X linked, but not recessive, by most of the authors